Secondary glaucoma associated with angle recession is seen in -
1. Concussion injury
2. Radiation injury
3. Penetrating injury
4. Chemical injury

Correct answer: 1. Concussion injury

Explanation: Angle recession refers to the tear between longitudinal and circular muscle fibres of the ciliary body. It is characterized by deepening of the anterior chamber and widening of the ciliary body band on gonioscopy. Later on it is complicated by glaucoma. Ref:AK Khurana 4thE pg 405